Following are the characteristic features of an ideal IUCD candidate except-
1. Has borne atleast two children
2. Has no history of pelvic disease
3. Has normal menstrual periods
4. Is willing to check the IUCD tail

Correct answer: 1. Has borne atleast two children

Explanation: Ans-A i.e., Has borne at least two children o The Planned Parenthood Federation of America has described an ideal IUCD candidate as a woman who:Has borne at least one childHas no history of pelvic diseaseHas normal menstrual periodsIs willing to check the IUCD tailHas access to follow up and treatment of potential problemsIs in a monogamous relationship.